Bitten by krait. Manifestation would be:
1. Neurotoxic
2. Myotoxic
3. Vasculotoxic
4. Cardiotoxic

Correct answer: 1. Neurotoxic

Explanation: Ans. (a) NeurotoxicRef: The Essentials ofFSM by K.S. Narayan Reddy 31st ed. / 523Snakes and their respective poisoningSnakeType of poisoningVipersVasculotoxic, HemotoxicSea snakesMyotoxicCobra, KraitNeurotoxic